True about incontinenta pigmenti include the following except -
1. X-linked dominant
2. Primary skin abnormality
3. Avascularity of peripheral retina
4. Ocular involvement is seen in almost 100% cases and is typically unilateral

Correct answer: 4. Ocular involvement is seen in almost 100% cases and is typically unilateral

Explanation: Incontinentia pigmenti (IP) is a rare X-linked dominant genetic disorder that affects the skin, hair, teeth, nails and central nervous system. It is named from its appearance under a microscope. The cardinal feature is the appearance of characteristic progressive skin lesions, first presenting as vesiculobullous lesions and then progressing to whorl-like pigmentary lesions over four stages. IP also includes eye abnormalities, mostly occurring in the retina. The retinal findings stem from vascular occlusion and include neovascularization, hemorrhages, absence of foveal pit, and exudative and tractional detachments. Pathologic changes in the central nervous system, teeth, and hair are also common in IP. Diagnosis is based on clinical systemic and ocular exam, as well as genetic testing. There is no treatment for the disease as a whole; however, symptoms may be managed by medical or surgical intervention. Ref Harrison20th edition pg 1456